CA - 125 levels are elevated in
1. Endometriosis
2. Adenomyosis
3. Both 2 & 3
4. None of the above

Correct answer: 3. Both 2 & 3

Explanation: CA-125 levels is elevated in
→ Endometriosis
→ Adenomyosis
→ Pelvic infection
→ Leiomyoma
Although it is a tumor marker.